Which is therapeutic indication of keratoplasty:
1. Keratoconus
2. Perforated corneal ulcer
3. Myopia
4. hypermetropia

Correct answer: 2. Perforated corneal ulcer

Explanation: Perforated corneal ulcer Indication of penetrating keratoplasty Therapeutic - replaces inflamed cornea and maintains structural integrity of the eye ball Perforated corneal ulcer Optical - improve vision, opacity, bullous keratopathy ,advanced keratoconus